The incubation period of mumps is-
1. 1 -2 weeks
2. 2-3 weeks
3. 3-4 weeks
4. 4-5 weeks

Correct answer: 2. 2-3 weeks

Explanation: Incubation period of mumps is 2-3 wks Ref Harrison20th edition pg 897